Septicaemic shock with multi-organ failure is treated by
1. Adrenaline
2. Ephedrine
3. Phenylephrine
4. Norepinephrine

Correct answer: 4. Norepinephrine

Explanation: Norepinephrine in septic shock:First line agent in septic shockPredominant alpha receptor agonist effects and results in potent peripheral arterial vasoconstriction without significantly increasing heart rate or cardiac outputDosage range is 5-20 microgram/min(Ref: Harrison's 18/e p2223, 2228)